CALCULUS all are true except:
1. Supragingival calculus is brown in colour
2. Hard and gritty
3. Calcified from plaque
4. Subgingival calculus is more difficult to remove than supragingival calculus

Correct answer: 1. Supragingival calculus is brown in colour